A female diabetic having severe ear pain, granulation tissue in external auditary canal and facial palsy is due to -
1. Malignant otits externa
2. Herpes zoster otitis
3. Otomycosis
4. None

Correct answer: 1. Malignant otits externa